Which is true about origin of femoral nerve root value
1. Anterior division of L2,3,4 ventral rami
2. Anterior division of L2,3,4 dorsal rami
3. Posterior division of L2,3,4 ventral rami
4. Posterior division of L2,3,4 dorsal rami

Correct answer: 3. Posterior division of L2,3,4 ventral rami

Explanation: Femoral nerve originates from Posterior division of L2,3,4 ventral rami. The obturator nerve arises from the anterior divison of ventral rami (L2 - L4). fig:-Lumbar plexus